The common causative agent in diarrhea in AIDS patients is
1. Toplasma
2. Cryptosporidium
3. Salmonellae
4. Mycobac teria

Correct answer: 2. Cryptosporidium

Explanation: characteristic intestinal pathogen in AIDS is cryptosporidium REF:ANANTHANARAYANAN TEXT BOOK OF MICROBIOLOGY 9EDITION PGNO.576